Hinchey classification is used for perforations of colon secondary to
1. Trauma
2. Carcinoma
3. Diverticulitis
4. Inflammatory enteropathy

Correct answer: 3. Diverticulitis

Explanation: Answer-C. DiverticulitisHinchey Classification is used to describe perforations of the colon due to diverticulitis.Hinchey I - localised abscess (para-colonic)Hinchey II - pelvic abscessHinchey III - purulent peritonitis (the presence of pus in the abdominal cavity)Hinchey IV - feculent peritonitis. (Intestinal perforation allowing feces into abdominal cavity)